NMR principle is based on
1. Positron
2. Neutron
3. Proton
4. Electron

Correct answer: 3. Proton

Explanation: NMR/MRI principle is based on ability of protons in the body to absorb and emit radio waves when the body is placed in strong magnetic field